Calculate IMR if in a population of 100000 there are 3000 live births in a year and 150 infant deaths in the same year -
1. 75
2. 18
3. 5
4. 50

Correct answer: 4. 50

Explanation: Ref: Park 24th edition